Muscle attached to medial lip of linea aspera of femur ?
1. Short lead of biceps femoris
2. Vastus lateralis
3. Vastus intermedius
4. Vastus medialis

Correct answer: 4. Vastus medialis

Explanation: Posterior border of femur shaft is in the form of a broad roughened rigde, called linea aspera. o The lines aspera has distinct medial and lateral lips.Attachments on linea aspera are :i) Lateral lip : Vastus lateralis (in upper half), short head of biceps femoris, lateral intermuscular septum.ii) Medial lip : Vastus medialis, medial intermuscular septum.iii) Three adductors : Adductor longus, brevis and magnus.